All of the following are Schneider's first rank symptom EXCEPT:
1. Running commentary
2. Primary delusion
3. Thought insertion
4. Delusion of guilt

Correct answer: 4. Delusion of guilt

Explanation: Ans. (d) Delusion of guiltRef: Harrison 19th ed. / 2271* Schneider's first rank symptom of schizophrenia include: Hallucination, Delusion (primary delusion, NOT delusion of guilt), Passivity (made) phenomenon, and thought alienation phenomenon.* Presence of one symptom is diagnostic of schizophrenia.Hallucination* Hearing Audible thought* Voice heard arguing or discussing or both* Voice commenting on ones action* Hallucinations in form of commentary* 3rd person hallucination* Somatic hallucinationThought alienation phenomenon* Thought withdrawal* Thought insertion* Thought broadcastingPassivity* Made feeling (affect)* Made impulse* Made volition* Somatic passivityDelusional perception* Primary delusion